Tropical pulmonary eosinophilia is caused because of
1. Occult filariasis
2. Cerebral melaria
3. Penumonic plague
4. Asthmatic bronchitis

Correct answer: 1. Occult filariasis

Explanation: Ans. is 'a' i.e., Occult filariasis Occult filariasis is a rare condition which is caused by hypersensitivity reaction to filarial antigen. Micro filatia are absent in the blood. Lymphatic filariasis is absent. Indirect evidence of filarial infection is obtained by demonstrating antifilarial antibodies